True about montoux is -
1. False negative in fulminant diseases
2. If once done, next time it is always positive
3. Results are given in terms of positive & negative
4. Indurations given in terms of length & breadth

Correct answer: 1. False negative in fulminant diseases

Explanation: Ans. is 'a' i.e., False negative in fulminant disease . A positive tuberculin test indicates hypersensitivity to tuberculoprotein, it may be due to : - Active infection - Subclinical infection - Past infection - BCG vaccination . In overwhelming tuberculosis (fulminant cases) due to depressed cellular immunity montoux test may be false negative.